All are seen in reiter's syndrome except ?
1. Subcutaneous nodules
2. Oral ulcers
3. Keratoderma blenorrhagicum
4. Circinate balanitis

Correct answer: 1. Subcutaneous nodules

Explanation: Reiter's syndrome has reactive arthritis, conjuctivitis, urethritis, circinate balanitis, keratoderma blenorrhagicum, oral ulcers.